Not seen in anorexia nervosa:
1. Osteoporosis
2. Refusal to feeds
3. Weight loss
4. Menorrhagia

Correct answer: 4. Menorrhagia

Explanation: Physical Signs of anorexia nervosa * Excessive weight loss * Scanty or absent menstrual periods * Thinning hair - Dry skin * Cold favors wollen hands and feet Bloated or upset stomach * Downy hair covering the body Low blood pressure * Fatigue * Abnormal heart rhythms *Osteoporosis Psychological and Behavioral Signs in anorexia nervosa * Distorted perception of self (insisting they are overweight when they are thin) * Being preoccupied with food Refusing to eat * Inability to remember things * Refusing to acknowledge the seriousness of the illness Obsessive-compulsive behavior * Depression REF : Oxford text book of psychiatry 3rd Ed